Suitable environmental condition for mummification
1. Lying in water
2. Inside shallow soil
3. Dry and hot air
4. Under earth

Correct answer: 3. Dry and hot air

Explanation: Mummification in dehydration or drying of body.
Absence of moisture, hot air, dry sand soil, arsenic antimony favour mummification.